The skin pigmentation in bronze diabetes is due to?
1. The skin pigmentation in bronze diabetes is due to?
2. Lipofuscin
3. Melanin
4. Both melanine & hemosiderin

Correct answer: 4. Both melanine & hemosiderin

Explanation: Ans. is 'd' i.e., Both melanin & HemosiderinSkin pigmentation in bronze diabetes (Hemochromatosis)Predominantly due to increased epidermal melanin production--> Partly attributed to hemosiderin deposition in dermal macrophages and fibroblasts.